Nevi found deep in connective tissue:
1. Junctional nevi
2. Blue nevi
3. Intramucosal nevi
4. None

Correct answer: 2. Blue nevi

Explanation: Blue color is due to tyndall effect.